Not a direct branch of arch of aorta -
1. Left common carotid artery
2. Left subclavian artery
3. Brachiocephalic trunk
4. Right common carotid artery

Correct answer: 4. Right common carotid artery

Explanation: Ans. is 'd' i.e., Right common carotid artery o Branches of arch of aorta areBrachiocephalic trunkLeft common carotid arteryLeft subclavian arteryo Right common carotid artery and right subclavian artery arise from brachiocephalic trunk (Brachiocephalic trunk divides into right common carotid and right subclavian arteries).